The main disadvantage of metal ceramic restoration as
compared to porcelain jacket crown is
1. Less strength
2. Poor colour matching
3. More porous
4. Less retentive

Correct answer: 2. Poor colour matching